Gossypol is :
1. New drug for fibroids
2. New drug for endometriosis
3. Injectable contraception
4. Contraceptive pills for males

Correct answer: 4. Contraceptive pills for males

Explanation: Gossypol: Contains Disequiterpene aldehyde,yellow pigment isolated from cottonseed oil Produces its effect by inhibiting spermatogenesis, decreasing epididymal sperm motility, and affecting the conversion of proacrosin to acrosin. It is administered orally 10-20 mg daily for 3 months and thereafter 20 mg twice weekly. The side effects such as weakness, hypokalaemic paralysis and permanent sterility